Diagnosis in a ten year old boy with recurrent epistaxis and a unilateral nasal mass is
1. Antrochoanal polyp
2. Hemangioma
3. Angiofibroma
4. Rhinolith

Correct answer: 3. Angiofibroma

Explanation: Nasopharyngeal fibroma/Juvenile nasopharyngeal angiofibroma is a major cause for recurrent epistaxis in adolescent males. It is testosterone dependent. Benign tumour but locally invasive Ref - PL DHINGRA diseases of ear nose and throat, 6th edition